A Patient with TB under treatment complains of tinnitus and decreased hearing. Which drug is a causative factor:
1. lsoniazid
2. Streptomycin
3. Ethambutol
4. Pyrazinamide

Correct answer: 2. Streptomycin

Explanation: Streptomycin